Treatment of cholestasis during pregnancy is all except-
1. Vitamin K
2. Ursodeoxycholic acid
3. Oral contraceptive pills
4. Cholestyramine

Correct answer: 3. Oral contraceptive pills

Explanation: Ans-C i.e., Oral contraceptive pills Management of Obstetrics Cholestasiso Cholestyramine -for itchingo Vitamin K - to reduce postpartum hemorrhage and neonatal bleedingo Combined oral contraceptives - avoided. Prothrombin time - monitoredo Ursodeoxycholic acid is also found helpful.